Radiological hallmark of primary tuberculosis in childhood is?
1. Ghon's focus
2. Normal chest Xray
3. Lymphadenopathy
4. Pleural effusion

Correct answer: 3. Lymphadenopathy

Explanation: Ans. is 'c' i.e., Lymphadenopathy Lymphadenopathy with or without parenchymal abnormality is the radiological hallmark of primary tuberculosis in childhood.